Cabitus varus is most commonly seen in
1. Rickets
2. Post inflammatory epiphyseal damage
3. Fracture lateral condyle humerus
4. Malunited supracondylar fracture

Correct answer: 4. Malunited supracondylar fracture

Explanation: D i.e. Malunited sypracondylar